How many demographic cycles are there in the world?
1. 3
2. 4
3. 5
4. 6

Correct answer: 3. 5